A 42 yr old engineer developed redness of the glans and radial fissuring of the prepuce 2 weeks ago. A potassium hydroxide preparation of scrapings from the glans showed pseudohyphae and buds. Which one of the following systemic illness should he be screened for?
1. Pulmonary tuberculosis
2. Diabetes mellitus
3. Systemic candidiasis
4. Chronic renal failure

Correct answer: 2. Diabetes mellitus

Explanation: Visualization of pseudohyphae s/o candidiasis and DM is a predisposing factor for it. Candidiasis Predisposing factors or conditions (especially for disseminated form): DM Antibacterial agents Indwelling urinary catheters Parenteral glucocorticoids Neutropenia Abdominal and thoracic surgery Immunocompromised state Patients with severe burns low-birth-weight neonates persons using illicit IV drugs